Severe hypovalemic shock occurs when blood volume less is -
1. > 10%
2. > 20 %
3. >30 %
4. > 40 deg,10

Correct answer: 4. > 40 deg,10

Explanation: Ans. is 'd' i.e., > 40% Hvpovolemic shock Hypovolemic shock is the most common form of shock. This is due to decrease in blood volume either by loss of blood or plasma. Grading of hypovolemic shock o Mild hypovolemia --> When volume loss is less than 20%. There is generally mild tachycardia but relatively few external signs. o Moderate hypovolemia --> When volume loss is between 20-40%. Normal blood pressure is maintained in supine position, but there is postural hypotension and tachycardia on erect posture. o Severe hypovolemia -> When volume loss is > 40%. The classical signs of shock appear i.e., marked tachycardia, hypotension, disorientation. o This is due to decrease in blood volume either by loss of blood or plasma. Grading of hypovolemic shock o Mild hypovolemia --> When volume loss is less than 20%. There is generally mild tachycardiabut relatively few external signs. o Moderate hypovolemia --> When volume loss is between 20-40%. Normal blood pressure is maintained in supine position, but there is postural hypotension and tachycardia on erect posture. o Severe hypovolemia -> When volume loss is > 40%. The classical signs of shock appear i.e.,marked tachycardia, hypotension, disorientation.